Deformity is most commonly seen in primary osteoarthritis of the knee joint -
1. Genu valgum
2. Germ recurratum
3. Genu varus
4. Procurvaturn.

Correct answer: 3. Genu varus

Explanation: In knee joint osteoarthritis, medial joint space is affected earliest and causes asymmetrical joint space narrowing. This results in varus deformity (genu varus).